What is the stage of ovarian Ca with superficial liver metastasis with B/L ovarian mass?
1. Stage I
2. Stage II
3. Stage III
4. Stage IV

Correct answer: 3. Stage III

Explanation: Ans. is c, i.e. Stage IIIRef: Shaw I5th/ed, p427* Superficial liver metastasis is included in Stage III.* Metastasis to liver parenchyma is included in Stage IV.